Carcinoma ovary marker is-
1. CA 19-9
2. CD 99
3. CD 34
4. CA 125

Correct answer: 4. CA 125

Explanation: Ans is 'd' i.e.; CA125 Tumor MarkersCancerHormones o Human chorionic gonadotropino Gestational trophoblastic disease, gonadal germ cell tumoro Calcitonino Medullary cancer of the thyroido Catecholamineso Pheochromocytomao Gastrino Gastrinoma (pancreatic neuroendocrine tumor)Oncofetal Antigens o Alphafetoproteino Hepatocellular carcinoma, gonadal germ cell tumoro Carcinoembryonic antigeno Adenocarcinomas of the colon, pancreas, lung, breast, ovaryEnzymes o Prostatic acid phosphataseo Prostate cancero Neuron-specific enolase & chromogranin Ao Small cell cancer of the lung, neuroblastomao Lactate dehydrogenaseo Lymphoma, Ewing's sarcomaTumor Associated Proteins o Prostatic-specific antigenProstate cancero Monoclonal immunoglobulinMyelomao CA- 125Ovarian cancero CA 19-9Colon, pancreatic, breast cancero CA - 15-3Breast cancero CA 72-4Ovarian, pancreatic & gastric Ca.o CA 27.29 &CA 15-3Breast cancero CD 30Hodgkin's disease, anaplastic large cell lymphomao CD 25Hairy cell leukemia, adult T cell leukemia / lymphomao CD-34Alveolar soft part sarcomao b 2 - MicroglobulinMultiple myelomao S-100, HMB-45, TA-90Malignant melanomao NMP-22Urinary bladder Cao CD-99Ewing \s sarcoma